If urine sample darkens on standing, the most likely condition is :
1. Phenylketonuria
2. Alkaptonuria
3. Maple syrup disease
4. Tyrosinemia

Correct answer: 2. Alkaptonuria

Explanation: Alkaptonuria a condition d/t defective homogentisate 1, 2- dioxygenase (1/t defective tyrosine degradation) usually presents after age of 40 with characteristic triad of Homogentisic aciduria (which blacken/darkens on exposure to air /standing and is strongly Benedict's positive), Ochronosis (i.e black pigmentation of cartilage & collagenous connective tissue), and Arthritis of large joints